A new antifungal medication is being tested in clinical trials in Chennai. Examination of the pharmacokinetic properties of the drug reveals that the half-life of the drug is 6 hours. If a continuous intravenous infusion of this drug were started on a research subject, how long would it take to reach 75% of steady state?
1. 3 hours
2. 6 hours
3. 9 hours
4. 12 hours

Correct answer: 4. 12 hours

Explanation: The rule of thumb is that the plasma concentration will reach 50% in one half-life, 75% in two half-lives and 87.5% in three half-lives. So that the difference between the current drug level and 100% halves with each half-life. In this instance, it takes two half-lives to reach 75%. The half-live of this drug is 6 hours, so two half-lives is 12 hours.